All are features of Fournier's Gangrene except
1. Testicles are involved
2. Obliterative arteritis seen
3. Hemolytic streptococci, isolated
4. Necrotizing fascitis

Correct answer: 1. Testicles are involved

Explanation: Idiopathic scrotal gangrene also called Fournier's gangrene is a vascular gangrene of infective origin, caused by hemolytic streptococci, microaerophilic streptococci, staphylococci, E.coli, Cl.welchii, Bacteroides fragilis. It is common in diabetics, old age, malnourished and immunosuppressed. It can follow minor injuries or procedures in the perineal area such as bruise, scratch, urethral dilatation etc. There is fulminant inflammation of scrotal skin and subcutaneous tissues resulting in obliterative arteritis of the arterioles of scrotal skin leading into cutaneous gangrene. Testicles are not involved, are normal and viable Reference : page1068 SRB's manual of surgery 5th edition